Dye for Senitnel Lymph Node Biopsy is injected in which of the following sites?
1. Axilla
2. Tail of spence
3. Nipple
4. Areola

Correct answer: 4. Areola

Explanation: -Sentinel lymph node biopsy (SLNB) is done by two techniques: 1. Blue dye technique - 1% lymphazurin (ISO sulfan blue) 2. Radioactive colloid technique- technetium99 labelled Sulphur colloid. Maximum accuracy is seen with both techniques combined. A radioactive dye is injected around the areolasub-cutaneously in the subdermal plexus. Concept of SLNB established was by CABANA in SLN biopsyof Ca. Penis Hence the term "Cabana procedure" is used for SLNB of Ca. penis Malignancies in which SLNB is performed: 1)Ca. Breast 2) Ca. Penis 3) Malignant melanoma 4) Ca. Vulva 5) Head and Neck Malignancies Complications of SLNB in Ca. Breast: The most common complication of SLNB is skin tattooing. Most common injured Nerve during SLNB is Inter Costo Brachial Nerve